All of the following statements regarding Diabetes Mellitus are true, except:
1. Insulin is not used in Type II Diabetes mellitus
2. Insulin levels may be increased in patients with Type II Diabetes mellitus
3. Insulin is essential to reverse Diabetic Ketoacidosis
4. Intravenous Insulin is administered as a sliding scale in the hospital setting

Correct answer: 1. Insulin is not used in Type II Diabetes mellitus

Explanation: Insulin is indicated for type 1 diabetes as well as for type 2 diabetic patients with insulinopenia whose hyperglycaemia does not respond to diet therapy either alone or combined with other hypogycemic drugs. Ref: CMDT 2008 Edition, Page 1047